What is the treatment of choice for being tertian malaria?
1. Sulfamethaxazole - pyrimethamine
2. Quinine
3. Mefloquine
4. Chloroquine

Correct answer: 4. Chloroquine

Explanation: Chloroquine is used for the treatment of acute malaria Resistance to this drug in falciparum is reported widely (refer pgno:61 baveja 3 rd edition)